All of the following effects are seen with cholinergic muscarinic receptor stimulation except:
1. Sweating
2. Rise in blood pressure
3. Bradycardia
4. Urination

Correct answer: 2. Rise in blood pressure

Explanation: Effects that are seen with cholinergic muscarinic receptor stimulation are- Heart Bradycardia or even cardiac arrest Blood vessels Fall in B.P. and flushing occurs Bronchus Bronchospasm GIT Diarrhea Bladder | urine outflow Glands | secretions Eye Miosis